Verril's sign is seen in
1. Diazepam administration
2. Digitalis toxicity
3. Paget's disease
4. Unconscious states

Correct answer: 1. Diazepam administration